Lip furrow band refers to:
1. Vestibular lamina
2. Dental lamina
3. Successional lamina
4. Dental vestibule

Correct answer: 1. Vestibular lamina

Explanation: Vestibular lamina is labial and buccal to the dental lamina in each arch, and is also known as Lip furrow band.